Effects mediated by H1 histamine receptor include :
1. Inhibition of gastric acid secretion
2. Induction of hepatic cytochrome P450 enzymes
3. Maintenance of a wakeful state
4. Vasoconstriction of arterioles

Correct answer: 3. Maintenance of a wakeful state